Which of the following statement are not related to pathogenesis of idiopathic pulmonary fibrosis?
1. Smoking
2. Age less than 20 years
3. Loss of function mutation in TERT and TERC gene
4. Mutations in genes encoding components of surfactant

Correct answer: 2. Age less than 20 years

Explanation: Idiopathic pulmonary fibrosis aka Cryptogenic fibrosing alveolitis It is characterized by recurrent alveolar epithelial injury. SMOKING is one of the most important etiological factor. Seen in patient more than 50 years It is also associated with altered activity of surfactant. Histopathological Hallmark -Usual interstitial Pneumonia Rx-Lung transplant